Vegetable viper snake poison is
1. Croton
2. Madar
3. Abrus
4. Semicarpus

Correct answer: 3. Abrus

Explanation: C i.e. Abrus